A topical retinoid recently introduced for the treatment of psoriasis is :
1. Adapalene
2. Tazarotene
3. Alitretinoin
4. Bexarotine

Correct answer: 2. Tazarotene